Long term complication of a liver kidney donor is
1. Amyloid nephropathy
2. Hypertension
3. Pylonephritis
4. Renal cell carcinoma

Correct answer: 2. Hypertension

Explanation: In donor - hypertension.